A clinical dental technician who is a member of the oral health care team who provides an oral health examination, takes impressions of the surrounding oral tissues, constructs and delivers removable oral prosthesis directly to the patient is known as:
1. School dental nurse
2. Denturist
3. Hygienist
4. Dental therapist

Correct answer: 2. Denturist

Explanation: Denturist 
Is a term applied to those dental laboratory technicians who are permitted to fabricate dentures directly for patients without a dentist's prescription. They may be licensed or registered.
Essentials of preventive and community dentistry 
Soben Peter 
5th edition